Lymphnode metastasis commonest in .... Carcinoma thyriod
1. Follicular
2. Papillary
3. Anaplastic
4. Medullary

Correct answer: 2. Papillary